Preoperative shaving is idealy done at ?
1. Evening before
2. Morning of operation
3. Just before operation
4. At operation table

Correct answer: 3. Just before operation

Explanation: Ans. is 'c' i.e., Just before operation